Lactational amenorrhea is due to:
1. Prolactin induced inhibition of GnRH
2. Prolactin induced inhibition of FSH
3. Oxytocin induced inhibition of GnRH
4. None of the above

Correct answer: 1. Prolactin induced inhibition of GnRH

Explanation: In breastfeeding females, prolactin levels are increased in response to suckling stimulus of breast feeding.
Besides prolactin, FSH concentration are normal and LH concentration are low.
Despite the presence of gonadotropin the ovary during lactation hyperprolactinemia dose not display follicular development and dose not secrete estrogen
These observations suggest that high concentrations of prolactin can work at both central levels(by inhibiting pulsatile secretion of GnrH) and peripheral level i.e. ovarian sites to produce lactational amenorrhea and anovulation
The principle pf GnrH suppression by prolactin is reinforced by the demonstration that treatment of amenorrheic, lactating women with pulsatile GrrH , fully restores pituitary secretion and normal ovarian cyclic activity